Laminin is present in?
1. Liver
2. Lungs
3. Bone marrow
4. Basement membrane

Correct answer: 4. Basement membrane

Explanation: Laminin is present in Basement membrane of various tissue. Basement membrane contains type IV collagen, Laminin, nidogen and perlecan.